True about targets of National Health Policy of 2017 is ?
1. Reduce neonatal mortality to 16 & stillbirth rate to "single digit" by 2025.
2. Achieve global target of HIV/AIDS of 90-90-90 by 2022
3. Reduce under five mortality to 23 per 10,000 live births by 2025
4. Increase life expectancy at birth from 67.5 to 70 years by 2020

Correct answer: 1. Reduce neonatal mortality to 16 & stillbirth rate to "single digit" by 2025.

Explanation: Targets of NATIONAL HEALTH POLICY 2017 Reduce under five mortality to 23 per 1000 live births by 2025. Reduce infant mortality rate to 28 by 2019. Reduce neonatal mortality to 16 & stillbirth rate to "single digit" by 2025. Increase life expectancy at birth from 67.5 to 70 yrs by 2025. Reduce prevalence of blindness to 0.25/1000 by 2025 Reduce disease burden by 1/3rd from current level. Achieve global target of HIV/AIDS of 90-90-90 by 2020 Achieve & maintain cure rate of > 85% in new sputum +ve pts of TB & reach elimination level by 2025. Achieve & maintain elimination status of leprosy by 2018, Kala-azar by 2017 & lymphatic filariasis in endemic areas by 2017. Antenatal coverage & skilled birth attendance at birth > 90% by 2025. >90% full immunization by 1yr of age by 2025. Reduction of 40% in prevalence of stunting of under-five children by 2025. Access to safe water & sanitation to all by 2020.